Colposcopy is used to visualize all except:
1. Upper 2/3rd endocervix
2. Lower 1/3rd endoCervix
3. Lateral fornix
4. Vault of vagina

Correct answer: 1. Upper 2/3rd endocervix

Explanation: Ans. A: Upper 2/3rd endocervix Colposcopy is used to identify or rule out the existence of any precancerous conditions in the cervical tissue. If a Pap test shows abnormal cell growth, colposcopy is usually the first follow-up test performed. Colposcopy may also be performed if the cervix looks abnormal during a routine examination. It may be suggested for women with genital warts and for diethylstilbestrol (DES) daughters (women whose mothers took the anti-miscarriage drug DES when pregnant with them). Colposcopy is used in the emergency department to examine victims of sexual assault and abuse and document any physical evidence of vaginal injury.